Jack stone calculi are made up of
1. Ammonium urate
2. Uric acid
3. Struvite
4. Calcium oxalate

Correct answer: 4. Calcium oxalate

Explanation: Jack stone calculi are seen in bladder formed by calcium oxalate.